Wallenberg syndrome involves which artery?
1. Anterior inferior cerebellar artery
2. Posterior inferior cerebellar artery
3. Subclavian artery
4. Posterior cerebral artery

Correct answer: 2. Posterior inferior cerebellar artery

Explanation: Wallenberg syndrome usually occurs due to involvement of ipsilateral vertebral artery, but occasionally it is due to block in an ipsilateral posterior inferior cerebellar artery.